Thrombosis of the following cerebral vessels leading to the Hemiplegia by
1. Anterior cerebral
2. Middle cerebral
3. Posterior cerebral
4. Lateral cerebral

Correct answer: 2. Middle cerebral

Explanation: (Middle cerebral) (388-BDC-3- 4th edition)* HEMIPLEGIA - is a common condition. It is an UMN type of paralysis of one half of the body including the face* It is usually due to an internal capsule lesion caused by thrombosis of one of the lenticulostriate branches of the middle cerebral artery (Cerebral thrombosis)* Wallenberg's syndrome (lateral medullary syndrome) caused by thrombosis of the posterior inferior cerebral artery